Cyclosporine acts by inhibiting the proliferation of
1. ILl
2. IL2
3. IL6
4. Macrophages

Correct answer: 2. IL2

Explanation: Ans. is 'b' i.e., IL2 Cyclosporine enters target cells and bind to cyclophilin (an immunophilin). This cyclosporine-cyclophilin complex inactivates calcineurin IL-2 trascripitan and proliferation of T cells.